Appendix of testes is remnant of -
1. Mesonephric duct
2. Paramesonephric duct
3. paramesonephric tubule
4. Mesonephric tubule

Correct answer: 2. Paramesonephric duct

Explanation: Ans. is 'b' i.e., Paramesonephric duct o Male's derivatives of paramesonephric duct (Muiierian duct) areAppendix of testis (Hydatid of morgagni).Prostatic utricle.